First reliable census was conducted in:
1. 1881
2. 1951
3. 1981
4. 2001

Correct answer: 1. 1881

Explanation: 1881